Esketamine, the drug that has been approved by FDA in 2019, has been approved for treatment of -
1. Depression
2. Resistant schizophrenia
3. Bipolar disorder
4. Ketamine dependence

Correct answer: 1. Depression

Explanation: In 2019,FDA approved nasal spray of Esketamine It is an enantiomer of ketamine Given as a nasal spray under the practitioner's supervision. used for TRD(treatment resistant depression) Given with oral antidepressants.